Beta oxidation of odd chain fatty acid produces acetyl CoA and ______?
1. Malonyl CoA
2. Succinyl CoA
3. Propionyl CoA
4. Methylmanoyl CoA

Correct answer: 3. Propionyl CoA

Explanation: Ans. (c) Propionyl CoARef: Harper's Biochemistry, 30th edn. pg. 224-26* Fatty acids with an odd number of carbon atoms are oxidized by the pathway of beta-oxidation, producing acetyl-CoA, until a three-carbon (propionyl-CoA) residue remains.* Odd-chain fatty acid is the only part of a fatty acid that is glucogenic.